1st evidence of calcification of Upper central incisor is seen in
1. 3-4 months
2. 6-7 months
3. 8-9 months
4. 1-2 months

Correct answer: 1. 3-4 months